The most common cause of painless bleeding P.R. in a man is -
1. Fissure-in-ano
2. Diverticulosis
3. Piles
4. None

Correct answer: 3. Piles